Nerve arising by two roots that surround middle meningeal Artery
1. Facial Nerve
2. Maxillary Nerve
3. Jacobson's Nerve
4. Auriculotemporal Nerve

Correct answer: 4. Auriculotemporal Nerve